In transmission of malaria, mosquito bite transfers:
1. Sporozoite
2. Merozoite
3. Hypnozoite
4. Gametocyte

Correct answer: 1. Sporozoite

Explanation: Ans. is 'a' i.e., Sporozoite(Ref: Chatterjee, 12th/e, p. 73)* Sporozoites are infective to man. Human infection begins when a female anopheline mosquito inoculates plasmodial sporozoites from its salivary gland during a blood meal.- Infective from for human - Sporozoite.- Infective from for mosquito - Gametocyte.